Not a Protease inhibitor is ?
1. Nelfinavir
2. Saquinavir
3. Ritonavir
4. Abacavir

Correct answer: 4. Abacavir

Explanation: Ans. is 'd' i.e., Abacavir Antiretroviral drugs Nucleoside reverse transcriptase inhibitors (NRTIs) - Zidovudin, Didanosine, Zalcitabine, Stavudine, Lamivudine, Abacavir. Nucleotide reverse transcriptase inhibitor - Tenofovir (Katzung 10th/e) Nonucleoside reverse transcriptase inhibitors (NNRTIS) - Nevirapine, Efavirenz, Delavirdine, Etravirine. Protease inhibitors - Ritonavir, Indinavir, Nelfinavir, Saquinavir, amprenavir, Lopinavir, Fosamprenavir, Atazanavir, Darunavir, Tipranavir. Fusion inhibitor - Enfuvirtide, Maraviroc. Integrase inhibitors - Roltegravir, Elvitegravir.